Growing phase of hair?
1. Anagen
2. Catagen
3. Telogen
4. Nanogen

Correct answer: 1. Anagen

Explanation: The growth cycle of a hair consists of 3 stages: Anagen stage is the growing period of a hair follicle. ... Catagen stage is the intermediate period of hair growth. ..short transitional phase of the hair growth cycle between anagen and telogen that usually lasts between 10 to 20 days and during which the lower portion of the hair follicle regresses and hair growth ends. In catagen, the hair follicle stops producing the fiber and regresses, shrinking dramatically. Telogen stage or shedding stage The telogen phase is the resting phase of the hair follicle. This phase lasts for about 100 days for hairs on the scalp and much longer for hairs on the eyebrow, eyelash, arm, and leg. During this phase, the hair follicle is completely at rest and the club hair is completely formed Anagen is the active growth phase of hair follicles during which the root of the hair is dividing rapidly, adding to the hair shaft. During this phase the hair grows about 1 cm every 28 days. Scalp hair stays in this active phase of growth for 2-7 years; this period is genetically determined. Phase Description Duration % of hair Anagen Active growth phase 3-5 years 84 Catagen Regression phase 3 weeks 2 Telogen Resting phase 3 months 14 Ref Harrison 20th edition pg 1234